Best provocative test for diagnosis of Gastrinoma is:
1. Ca++ infusion test
2. Secretin injection test
3. ACTH stimulation test
4. Steroid assay

Correct answer: 2. Secretin injection test

Explanation: Answer is B (Secretin injection test) Gastrinomas (Zollinger Ellison Syndrome) are characterized by peptic ulceration due to hypersecretion of gastrin by a non-beta cell tumor. Secretin injection test is the most valuable provocative test in identifying patients with ZES.